Which of the following drugs is used for the treatment of multiple sclerosis?
1. Interferon-alpha
2. Interferon-beta
3. Interferon-gamma
4. Infliximab

Correct answer: 2. Interferon-beta

Explanation: Ans. is 'b' i.e. Interferon - beta Treatment of multiple sclerosis o Multiple sclerosis is an autommune disease characterized by chronic inflammatory demylination that affects the CNS. o The most common course of the disease is the relapsing-remitting subtype, which is characterized by unpredictable acute attacks (relapses) followed by periods of relative remission with no new signs of disease activity. The other type (less common) is progressive subtype, which is characterized by a steady functional decline from disease onset. o Therapy for MS can be divided into several categories:? 1. Treatment of acute attack Corticosteroids (Methylprednisolone, prednisolone) are used 2. Treatment with disease-modifing agents that reduce the biological activity of MS Disease modifying agents for multiple sclerosis are (i)IFN-f1 la; (ii) IFN-fl lb, (iii) Glatiramer; (iv) Natalizumab; (v) Finoglimod: (vi) Mitoxantrone; (vii) Cladaribine. 3. Other treatment options Other off-label treatment options are (i) methotrexate; (ii) cyclophosphamide; (iii) IV immunoglobulins; (iv) azathioprine. 4. Symptomatic Treatment It includes healthy diet, regualr exercise, and: i) Treatment of rigidity (baclofen, diazepam, tizanidine, dantroline) ii) Treatment of weakness (Potassium channel blockers like 4-aminopyridine) iii) Treatment of pain by anticonvulsants (carbamezapine, phenytoin, gabapentin, pregabalin), or antidiepressants (mexiletin). iv) Treatment of UTI, bladder dysfunction, constipation, depression, fatigue and cognitive problems.